Order of development of secondary sexual characteristics in male-
1. Testicular development- pubic hair- axillary hair-beard
2. Pubic hair- testicular development- axillary hair--beard
3. Testicular development- beard- pubic hair- axillary hair
4. Axillary hair-beard- pubic hair- testicular development

Correct answer: 1. Testicular development- pubic hair- axillary hair-beard

Explanation: The sequence of development of secondary sexual characteristics in boys: Testicular enlargement - Penis enlargement - Pubic hair growth- Peak growth velocity -Axillary hair -Facial hair